Methylation of cytosine leads to:
1. Increased expression of gene
2. Decreased expression of gene
3. No effect on gene expression
4. Mutation

Correct answer: 2. Decreased expression of gene

Explanation: High levels of DNA methylation in gene regulatory elements typically result in transcriptional silencing. METHYLATION = MUTE ACETYLATION =ACTIVE